Which is not an antiplatelet drug
1. Aspirin
2. Streptokinase
3. Clopidogrel
4. Ticlodipine

Correct answer: 2. Streptokinase

Explanation: Streptokinase obtained from β - hemolytic streptococci activates plasminogen to form plasmin and breaksdown Fibrin.